Which of the following drug causes malignant hyperthermia:
1. Mivacurium
2. Pancronium
3. Succinylcholine
4. Atracurium

Correct answer: 3. Succinylcholine

Explanation: Ans: (c) SuccinylcholineRef: Miller's Anaesthesia Th ed. / 866* Malignant hyperthermia is a condition that is usually triggered by exposure to certain drugs used for general anesthesia, specifically the volatile anesthetic agents and the neuromuscular blocking agent succinylcholine.* Succinylcholine is depolarizing / non competitive M.R. with shortest duration of action (3-5 min) due to rapid hydrolysis by pseudo cholinesterase.* It causes dual/biphasic block. It causes hyperkalemia, increased intraocular & intragastric pressure and temperature which leads to malignant Hyperthermia.* Susceptibility to MH is often inherited as an autosomal dominant disorder, for which there are at least 6 genetic loci of interest, most prominently the Ryanodine receptor gene (RYR1).* DOC for malignant hyperthermia: Dantrolene